Which of the following is not true regarding bleaching powder –
1. Contact period is one hour
2. Volume of water is estimated
3. Immediatly dissolved in water
4. Chlorine demand is estimated

Correct answer: 3. Immediatly dissolved in water